True regarding barret's oesophagus is -
1. Benign course
2. Premalignant condition
3. Sq. metaplasia of lower oesophagus
4. Medical T/t is not usefull

Correct answer: 2. Premalignant condition

Explanation: Barrett's esophagus is an Intestinal metaplasia (not squamous metaplasia) which follows the metaplasia - dysplasia - cancer course (a premalignant condition for adenocarcinoma of esophagus) Now about the medical t/t Though medical treatment does not revert back the metaplastic changes, it can be used to treat the underlying reflux disorder and prevent further damage. Ref : Bailey & Love 25/e p1023